In tissue, Coccidioides immitis produces -
1. Sphendes and endospores
2. Encapsulated yeast cells
3. Fine, delicate hyphae
4. Coarse, septate hyphae

Correct answer: 1. Sphendes and endospores